The best test to detect iron deficiency anaemia in a community with Iwo prevalence of iron deficiency is -
1. PCV
2. Serum iron
3. Serum ferritin
4. Iron binding capacity

Correct answer: 3. Serum ferritin